Which of the following statements about squamous cell carcinoma of cervix is False?
1. Common at squamocolumnar junction
2. CT scan is mandatory for staging
3. Post coital bleeding is a common symptom
4. HPV 16 and 18 are associated with high risk of carcinogenesis

Correct answer: 2. CT scan is mandatory for staging

Explanation: CT scan is not required for staging of squamous cell carcinoma of the cervix. The staging is based on clinical findings; also chest radiograph, intravenous pyelogram, cystoscopy and proctoscopy can be used in the staging. Reference: 1. Oncology: An Evidence-Based Approach By Alfred E. Chang, Pages 875-78 2. Shaws textbook of Gynaecology 13 edition, Pages 381-92